False regarding muscle development is/are
1. Cardiac muscle develop from splanchnic mesoderm
2. Smooth muscle of dorsal aorta develops from lateral plate mesoderm
3. Pupillary muscles are ectodermal
4. Voluntary muscles of head are derived from axial mesoderm

Correct answer: 4. Voluntary muscles of head are derived from axial mesoderm

Explanation: D i.e. Voluntary muscles of head are derived from axial mesodermVoluntary muscles of head, axial skeleton, body wall & limbs are derived from paraxial mesoderm.Q